Semicircular canals are stimulated by -
1. Gravity
2. Linear acceleration
3. Rotation
4. Sound

Correct answer: 3. Rotation